Cognitive behaviour deals with -a) Unconscious motiveb) Maladaptive assumptionsc) Pseudodynamic conflictd) Emotional consciousness of automatic thoughts
1. bd
2. d
3. ab
4. ac

Correct answer: 1. bd

Explanation: Cognitive therapy (cognitive behavior therapy) aims at correcting the maladaptive methods of thinking. The goal of therapy for patients is to learn how to self - monitor their key automatic thoughts, perhaps leading to ascertaining deeper beliefs and schemas. An automatic thought occurs spontaneously and rapidly, representing an immediate interpretation of a situation.